All are true about obstetric cholestasis except:
1. Severe Pruritus
2. Pruritus is worse in the morning
3. Pruritus usually develops in the second half of pregnancy
4. Pruritus is more on palms and soles

Correct answer: 2. Pruritus is worse in the morning

Explanation: Pruritus is worse at night in obstetric Cholestasis This disorder also has been referred to as recurrent jaundice of pregnancy, Cholestatic hepatosis, and icterus gravidarum. It is characterized clincally by pruritus, icterus or both. It may be more common in multifetal pregnancy. There is significant genetic influence. Pruritus develops in late pregnancy (usually during the third trimester - 80% present after 30 weeks), although it occasionally manifest earlier. It is more in palms and soles . Ref: William's Obstetrics 25th edition pgno: 1059